Which of the following is true about eruption of teeth?
1. Premolar appear in primary dentition
2. Incisors is first to appear in secondary dentition
3. 3rd molars is last to appear in primary dentition
4. Canines is second last to appear in primary dentition

Correct answer: 4. Canines is second last to appear in primary dentition

Explanation: D i.e. Canines is second last to appear in primary dentition